Which of the following statement is false about Garre’s osteomyelitis?
1. Affects children and young adults
2. Generally involves the mandible
3. It occurs in pulpally exposed mandibular first molar
4. None of the above

Correct answer: 4. None of the above

Explanation: → Affects children and young adults.
→ Generally involves the mandible.
→ It occur in pulpally exposed mandibular first molar.
→ Spreads only slightly into the interior of the bone.